Laminated concretions of calcium and proteins are
1. Schaumann bodies
2. Ferruginous bodies
3. Asteroid bodies
4. Gamma gandy bodies

Correct answer: 1. Schaumann bodies

Explanation: *Schaumann bodies : Laminated concretions of calcium and proteins in giant cells. Seen in *sarcoidosis*Asteroid bodies : Stellate inclusions seen in giant cells which is composed of microfilaments, *microtubules and centrioles. Seen in sarcoidosis.*Asbestos bodies : Shish cabab appearance of asbestos fibre with ferritin in macrophages. Seen in *asbestosis.*Ferruginous bodies - Linear arrays of ferritin without asbestos fibres in macrophages. Seen in asbestosis.*Gamna gandy bodies - Siderosclerotic bodies seen in chronic venous congestion of spleen( Ref: Robbins 8/e p700-703)